Tranexaemic acid is a specific antidote of
1. Fibrinolytic drugs
2. Heparin
3. Barbiturates
4. Organophosphates

Correct answer: 1. Fibrinolytic drugs

Explanation: ANTIFIBRINOLYTIC DRUGS Tranexamic acid:- It binds to the lysine binding site on plasminogen and prevents its combination with fibrin leading to fibrinolysis. It is preferred for prevention/control of excessive bleeding due to: * Fibrinolytic drugs. * Cardio-pulmonary bypass surgery. * Tonsillectomy, prostatic surgery, tooth extraction in haemophiliacs. * Menorrhagia, especially due to IUCD. * Recurrent epistaxis, hyphema due to ocular trauma, peptic ulcer. side effects:- Nausea and diarrhoea. Thromboembolic events, disturbed colour vision and allergic reactions are infrequent. Thrombophlebitis of injected vein can occur. Ref:- kd tripathi; pg num:-628,629